Swarming growth on culture is characteristic of which Gram-negative organism -
1. Clostridium welchii
2. Clostridium tetani
3. Bacillus cereus
4. Proteus mirabilis

Correct answer: 4. Proteus mirabilis

Explanation: Pr.mirfabilis & Pr.vulgaris swarms on solid culture media .discrete colonies are seen in young cultures but thereafter actively motile cells spread on the surface of the plate in successive waves to form a thin film layer in concentric circles. REF:Ananthanarayan & Panicker's Textbook of Microbiology 8th edition pg no:280-281